Cobble stone appearance on Barium enema of a neonate is a feature of?
1. Hirschsprung disease
2. Anorectal malformation
3. Mucoviscidosis
4. Patent allantois

Correct answer: 1. Hirschsprung disease

Explanation: Hirschsprung's disease (Aganglinosis) Cobble stone appearance on Barium enema of neonate At Rectosigmoid Junction Dx- Gastrogaffin enema-Retention of contrast in distal part of colon Screening test- Rectal manometry. IOC - Biopsy Rx - Svenson / Duhamel procedure Anorectal malformation cannot be detected on Barium enema Patent allantois causes urachal Fistula not dx on Barium enema Mucoviscidosis -presentation of cystic fibrosis H/O meconium ileus: